Annular pancreas, true is -
1. Complete or partial rotation failure
2. Congenital
3. Normal histology
4. All

Correct answer: 4. All

Explanation: Answer 'a' i.e. Complete or partial rotation failure; 'b' i.e. Congential ; 'c' i.e. Normal histology Annular pancreas is a congenital anamoly resulting from failure of normal clockwise rotation of the ventral pancreas. The histology of pancreatic tissue is normal.